Desmodont is another name for:
1. The tooth with one wall pocket
2. Tooth with three walled pocket
3. Periodontal ligament
4. Dehiscence

Correct answer: 3. Periodontal ligament